True about secondary immune response is ?
1. Long latent period
2. Usually of low titre
3. Antibodies appear in short time
4. All

Correct answer: 3. Antibodies appear in short time

Explanation: Ans. is 'c' i.e., Antibodies appear in short time Primary response Secondary response . Slow . Fast . Sluggish . Powerful . Short lived . Prolonged (antibody persists for long) . Long lag phase . Short or negligible lag phase (Antibody appears in short time) . Predominant IgM . Predominant IgG * Antibody is more specific . Antibody is less specific . Antibody is less avid . Antibody is more avid . Qualitative response . Quantitative response